All are true regarding SIADH except:
1. Increased level of ADH
2. Urine hypoosmolar
3. Hyponatremia
4. Adequate hydration status

Correct answer: 2. Urine hypoosmolar

Explanation: Answer is B (Hyposmolar urine): SIADH is characterized by an inappropriately increased urine osmolality (Hyperosmolar urine) in the presence of decreased plasma osmolality.